Bone marrow transplant is indicated in all Except
1. Osteopetrosis
2. Mucopolysaccharidosis
3. Hemochromatosis
4. Beta thalassemia

Correct answer: 3. Hemochromatosis

Explanation: Treatment for Hereditary hemochromatosis consists of weekly venesection of 500ml of blood(250mg iron) until the serum iron is normal, this may take 2 years or more In hereditary haemochromatosis, iron is deposited throughout the body and total iron may reach 20-60g(normal 4g). Reference : Davidson, 23rd Edition, page no : 895.